Most common complication of high myopia is:
1. Retinal detachment
2. Hemorrhage
3. Cataract.
4. Glaucoma

Correct answer: 1. Retinal detachment

Explanation: A highly myopic eye is prone to develop retinal hemorrhage and lattice degeneration Q leading to detachment of retina and complicated cataract.